Senear usher syndrome is associated with
1. Pemphigus vulgaris
2. Pemphigus foliaceous
3. Pemphigus erythematous
4. Paraneoplastic pemphigus

Correct answer: 3. Pemphigus erythematous

Explanation: Senear usher syndrome is associated with pemphigus erythematous Pemphigus erythematosus is a localized variant of PF, originally described by Senear and Usher. Patients have immunological features of both lupus erythematosus and pemphigus, with granular IgG and C3 at the basement membrane zone, intercellular IgG and C3 in the epidermis and circulating antinuclear antibodies. Progression to systemic lupus erythematosus is rare. Pemphigus erythematosus may be associated with myasthenia gravis or thymoma. Erythematous scaly lesions over the nose and cheeks in a butterfly distribution simulate cutaneous lupus erythematosus or seborrheic dermatitis. Sunlight may exacerbate the disease. Lesions on the trunk, either localized or generalized, are similar to those in PF Ref Harrison 20th edition pg 1267